The following causes increased intraocular pressure :
1. Thiopentone
2. Althesin
3. Ketamine
4. Barbiturate

Correct answer: 3. Ketamine